Vaginal defence is lost in:
1. Within 10 days of birth
2. After 10 days of birth
3. During pregnancy
4. At puberty

Correct answer: 2. After 10 days of birth

Explanation: Vaginal defence is lost at 10 days after birth. The maternal estrogen circulating the newborn maintains the vaginal defence for 10 days.
Thereafter it is lost up to pre-puberty and after menopause. High level of circulating estrogen increase the vaginal defence during puberty, pregnancy and in premenstrual phase.